Which of the following biological fluids has the highest pH value?
1. Bile
2. Pancreatic juice
3. Saliva
4. Gastric juice

Correct answer: 2. Pancreatic juice

Explanation: Pancreatic juice is alkaline and has the highest pH (7.8 - 8.0). Pancreatic juice is alkaline in nature due to the high concentration of bicarbonate ions.